"Chain of lakes" appearance on X-ray is seen in:
1. Chronic pancreatitis
2. Acute pancreatitis
3. Carcinoma head of pancreas
4. Adenocarcinoma

Correct answer: 1. Chronic pancreatitis

Explanation: Ans. Chronic pancreatitis